Acclimatization does not include ?
1. Hyperventilation
2. Decreased concentration of 2,3-DPG in RBC
3. Increased erythropoiesis
4. Kidney excrete more alkali

Correct answer: 2. Decreased concentration of 2,3-DPG in RBC

Explanation: Acclimatization refers to the: Respiratory alkalosis produced by the hyperventilation which shifts the O2 -Hb curve to the left, but there is also concomitant increase in red blood cell 2,3 DPG tends to decrease the O2 affinity of the hemoglobin the net effect is a small increase in P50 (right shift ) The decrease in O2 affinity makes more O2 available to the tissues. However,the value of the increase in P50 is limited because when the arterial Po2 is markedly reduced, the decreased O2 affinity also interferes with O2 uptake by hemoglobin in the lungs.